Heerfordt's syndrome cosists of fever , parotid enlargement facial palsy
1. Arthralgia
2. Bilateral hilar adenopathy
3. Erythema nodosum
4. Anterior uveitis

Correct answer: 4. Anterior uveitis

Explanation: Ref Harrison 18/e p2806 Lofgren's syndrome consists of erythema nodosum, hilar adenopathy on chest x-ray and uveitis Heerfordt's syndrome .: Fever , parotid enlargement , facial palsy , uveitis